Most commonly injured organ in blunt trauma of abdomen is -
1. Liver
2. Spleen
3. Small intestine
4. Pancreas

Correct answer: 2. Spleen

Explanation: Ans. is 'b' i.e., Spleen "The spleen is the intra-abdominal organ most frequently injured in blunt trauma"- Sabiston 18/e* Blunt trauma: In blunt trauma the organs most commonly injured are the solid organs:# Spleen (MC)# Liver# Kidney* In addition to spleen, liver and kidney, extreme blunt force to the upper abdomen may fracture the Pancreas, which is susceptible to injury because of its position overlaying the rigid vertebral column.